A 50 years labourer, smoker presented with repeated episodes of epigastric pain, associated with ocassional vomiting and weight loss. What is the diagnosis
1. Hiatus hernia
2. Gastric ulcer
3. Gastric volvulus
4. Barret's esophagus

Correct answer: 2. Gastric ulcer

Explanation: Answer- B. Gastric ulcerSmoking with epigastric pain and vomiting with weight loss is strongly suggestive of gastric ulcer.